Characteristic pathological feature of rheumatic fever is/are:
1. Joint pains
2. Fever
3. Aschoff modules
4. All of the above

Correct answer: 3. Aschoff modules